Poor prognostic factors for Hodgkin's disease are all except -
1. Younger age
2. Systemic manifestations
3. Lymphocyte depletion
4. stomach involvement

Correct answer: 1. Younger age

Explanation: According to the Hasenclever prognostic index for advanced Hodgkin lymphoma,risk factors are - age>45yrs,male gender,stage 4 disease(diffuse involvement of one or more extralymphatic tissues with/without constitutional symptoms ),lymphopenia etc. Lymphocyte depletion is having poor prognosis .

Reference :Davidson's principles & practice of medicine 22nd edition pg no1043.